Zero dose of Polio vaccine is which is given
1. Before giving DPT
2. At birth
3. When child is having Diarrhea
4. When child is having Polio

Correct answer: 2. At birth